False about Brucellosis
1. Also known as undulant  fever
2. B. melitensis is most virulent
3. Incubation period is 1-3 weeks
4. Antibiotic of choice is Ampicillin

Correct answer: 4. Antibiotic of choice is Ampicillin

Explanation: Antibiotic of choice: Tetracycline 500mg QID x 3 weeks.